The secretomotor supply of the parotid gland is through:
1. Otic ganglion
2. Gasserian ganglion
3. Geniculate ganglion
4. Submandibular ganglion

Correct answer: 1. Otic ganglion